Which of the following countries were NOT included in the MGRS study leading to the development of 2006 WHO growth charts?
1. Norway
2. Nigeria
3. India
4. USA

Correct answer: 2. Nigeria

Explanation: A Multicentre Growth Reference Study was undertaken between 1997 to 2003 in 6 countries including India, Ghana, Brazil, Norway, USA and Oman. Growth related data was accumulated in 9440 healthy breast fed babies. They were followed up from 0-60 months. In 2006, the WHO growth charts were published based on these data. Ref: Park, 21st Edition, Page 502.